A addict develops delusion, misleading hallucination of sight and hearing and the feeling of creeping things of 'grains of sand' in the skin, he is addicted to:-
1. Cocaine
2. Diazepam
3. Barbiturates
4. Methadone

Correct answer: 1. Cocaine

Explanation: Insects (bugs) crawling under the skin or presence of sand grain under the skin is a characteristic feature of chronic cocaine poisoning. Chronic Cocaine Poisoning (COCAINISM/ COCAINOPHAGIA/COCAINOMANIA): Unstable mental condition ,such as: Toxic delirium Psychotic disorder characterised by paranoid delusions, visual and tactile hallucination. Tactile hallucinations are characteristic: Associated with excoriation of the skin. This is also called cocaine bugs/ Formication/ Magnan symptom Sexual and reproductive dysfunction: There is loss of libido. Impotence and gynaecomastia occurs in male cocaine abusers. Women have major derangements in menstrual cycle function including galactorrhoea, amenorrhoea and infertility. Crack Babies: Cocaine abuse by pregnant women has been associated with an increased risk of congenital malformations in the foetus called crack babies. Tongue and teeth becomes black